Pneumocytes are cells found in epithelial lining of:
1. Alveoli
2. Bronchus
3. Trachea
4. Bronchioles

Correct answer: 1. Alveoli

Explanation: PneumocytesTwo types of pneumocytes contribute to the maintenance of the alveoli of the lungsType I pneumocytes and Type II pneumocytes.These cells function to aid in gas exchange, secretion of pulmonary surfactant, and self-regeneration